False regarding bacterial plasmid is?
1. Extrachromosomal DNA
2. Eliminated by treating with radiation
3. Transmission of different genes
4. Can cause lysogenic conversion

Correct answer: 4. Can cause lysogenic conversion

Explanation: Lysogenic conversion is done by Bacteriophage in process of Transduction. The transfer of a portion of DNA from one bacterium to another mediated by a Bacteriophage is known as Transduction. During replication of virus within the cell, a piece of bacterial DNA is incorporated into the bacteriophage and is carried into the recipient bacterium at the time of infection. The phage DNA within the recipient bacterial cell integrates into the cell DNA during a process called lysogenic conversion.